Not an effect of bromocriptine is :
1. Dopamine agonist
2. Increases prolactin release
3. Decreases prolactin relesae
4. All of the above

Correct answer: 2. Increases prolactin release

Explanation: Ans. is 'b' i.e. Increase prolactin release Bromocriptine is a Dopamine analogue which decreases prolactin releaseAbout Bromocriptine:It has greater affinity on D2 receptors*Increase GH release in normal individuals but decrease the same from pituitary tumour causing acromegaly *Can be used in parkinsonism *Stimulates dopaminergic receptors in CTZ - therefore produces emesis*